True about sitagliptin is all except
1. Used in type II DM
2. Used in combination with other oral hypoglycaemic
3. Cannot be used orally
4. All are true

Correct answer: 3. Cannot be used orally

Explanation: Ans. is 'c' i.e., Cannot be used orally Sitagliptin This is orally active inhibitor of DPP-4. It prevents degradation of endogenous GLP- 1 and other incretins, potentiating their action, resulting in limitation of postprandial hyperglycemia. It is used in type 2 DM. Other DPP-4 inhibitor is vildagliptin.